Squamaus cell Carcinoma of bladder is predisposed by-a)  Urolithiasisb)  Persistent urachusc)  Schistosomiasisd) Polype)  Smoking
1. a
2. ac
3. ad
4. b

Correct answer: 2. ac